Bradykinin is a clevage product of -
1. Kininogen
2. Prekallikrein
3. Kallikrien
4. Histamine

Correct answer: 1. Kininogen

Explanation: Ans. is 'a' i.e., Kininogen